Complicatlon specific to monoamniotic twins is:
1. TTTS
2. Cord entanglement
3. TRAP
4. Acardiac twin

Correct answer: 2. Cord entanglement

Explanation: Monoamniocity in mono chorionic twins leads to high perinatal mortality due to cord problems(entanglement) Reference:DD Dutta's textbook of obstetrics,8th edition,page no:240.